Surgical treatment of parotid tuimor nvolving the deep lobe is ?
1. Total parotidectomy with facial nerve preservation
2. Total parotidectomy with facial nerve sacrifise
3. Sub total parotidectomy
4. Subtotal parotidectomy with facial nerve sacrifise

Correct answer: 1. Total parotidectomy with facial nerve preservation

Explanation: Surgical treatment of Salivary malignancies The primary treatment of salivary malignancies is surgical excision. In this setting, basic surgical principles include the en bloc removal of the involved gland with preservation of all nerves unless directly invaded by tumor. For parotid tumors that arise in the lateral lobe, superficial parotidectomy with preservation of CN VII is indicated. If the tumor extends into the deep lobe of the parotid, a total parotidectomy with nerve preservation is performed. Although malignant tumors may abut the facial nerve, if a plane of dissection can be developed without leaving gross tumor, it is preferable to preserve the nerve. If the nerve is encased by tumor (or is noted to be nonfunctional preoperatively) and preservation would result leaving gross residual disease, nerve sacrifice should be considered. The removal of submandibular malignancies includes en bloc resection of the gland and submental and submandibular lymph nodes. Radical resection is indicated with tumors that invade the mandible, tongue, or floor of mouth. Therapeutic removal of the regional lymphatics is indicated for clinical adenopathy or when the risk of occult regional metastasis exceeds 20%. High-grade mucoepidermoid carcinomas, for example, have a high risk of regional disease and require elective treatment of the regional lymphatics. When gross nerve invasion is found (lingual or hypoglossal), sacrifice of the nerve is indicated with retrograde frozen section biopsies to determine the extent of involvement. If the nerve is invaded at the level of the skull base foramina, a surgical clip may be left in place to mark the area for inclusion in postoperative radiation fields. The presence of skip metastases in the nerve with adenoid cystic carcinoma makes recurrence common with this pathology. Postoperative radiation treatment plays an important role in the treatment of salivary malignancies. The presence of extraglandular disease, perineural invasion, direct invasion of regional structures, regional metastasis, and high-grade histology are all indications for radiation treatment.